The most common complication of Sub-valvular Aortic Stenosis is -
1. Aortic Regurgitation
2. Mitral Regurgitation
3. Tricuspid Regurgitation
4. Pulmonary Regurgitation

Correct answer: 1. Aortic Regurgitation

Explanation: Ans. is 'a' i.e., Aortic Regurgitation o Aortic regurgitation is the most common complication of subaortic stenosis.o Note that Aortic regurgitation is not a congenital anomaly associated with subvalvular aortic stenosis.# Aortic regurgitation is a complication of subvalvular# The aortic regurgitation appears to be due to thick fibrous tissue on the left ventricular swface of the valve leaflets. The fibrosis is caused by the repetitive trauma from a jet of blood through the stenosis or by the proliferation of the fbroelastic membrane itself.